Corpus callosum -
1. Projection fibers
2. Commissural fibers
3. Association fibers
4. Mone

Correct answer: 2. Commissural fibers

Explanation: Ans. is 'b' i.e., Commissural fibers o White matter of cerebrum has three types of fibers.1. Association fibers : Connect the one functional area of one cerebral hemisphere to other in the same cerebral hemisphere.Projection fibers : Connect cerebral cortex to other parts of brain and spinal cord.Commssural fibers : Connect some areas between the two cerebral hemispheres.Association fibersProjection fibersCommissural fibersa) Cinguluma) Fimbria1. Anterior commissureb) Superior longitudinal fasciculusb) Fornix2. Hippocampal commissurec) Inferior longitudinal fasciculusc) Corona radiata3. Habenular commissured) Uncinate fasciculusd) Internal capsule : It is a compact V-shaped band of neocortical projection fibers.4. Posterior commissure5. Corpus callosum.